Pulse Polio immunization was introduced in ?
1. 1995
2. 2000
3. 1999
4. 2001

Correct answer: 1. 1995

Explanation: Ans. is 'a' i.e., 1995 Pulse polio immunization (PPI) o Goverment of India conducted the first round of PPI consisting of two immunization days 6 weeks apart on 9th Dec 1995 and 20th Jan 1996. o The first PPI conducted targeted all children under 3 years of age. Later on, as recommended by WHO, it was decided to increase the age group from decided to increase the age group from under 3 to under 5 years So, now PPI targets children under 5 years of age. o The term pulse has been used to describe this sudden, simultaneous, mass administration of OPV on a single day to all children 0-5 years of age, regardless to previous immunization status. o PPIs occur as two rounds about 4 to 6 weeks apart during low transmission season of polio, i.e. between november to february (In India, peak transmission is from june to september). o The dose of OPV during PPIs are extra doses which supplement, and do not replace the doses received during routine immunization schedule. Intensive pulse polio immunization (IPPI) is the intensification of PPI by adding additional rounds at fixed booths followed by 'house - to - house search-and-vaccinate' component.